Which of the following is the most effective buffer for pH of 7.4?
1. Carbonic acid buffer with pKA-6.1
2. Phosphate buffer with pKA of 6.9
3. Glutamate buffer with pKA-8.7
4. Acetate buffer with pKa 4.5

Correct answer: 2. Phosphate buffer with pKA of 6.9

Explanation: Blood pH - 7.4 Buffer is most effective when pH = pKA +- 1 Therefore the most effective buffer for pH- 7.4 will be the one whose pKA +- 1 will cover this pH. Out of given options pKA +- 1 of phosphate buffer (5.9 to 7.9) covers pH 7.4. So most effective buffer for blood will be Phosphate buffer with pKA of 6.9.